Not a personality trait ?
1. Sensation seeking
2. Neuroticism
3. Open to experience
4. Problem solving

Correct answer: 4. Problem solving

Explanation: D i.e. Problem solvingAccording to five factor model (DSM-IV), there five basic personality traits are: neuroticism, extraversion (excitement/ novelty / sensation seeking), agreeableness, openness (to experience) and conscientiousnessQ.Personality Traits : Temprament & CharacterPersonality is the dynamic (constantly changing) psychobiological organization within the individual that modulate their unique adaptations to a changing internal and external environment and characterize their differences in outlook, thoughts, emotions and actions. Inflexibility in personality is an indicator of personality disorder.A person may feel and act differently on different situations (such as on a date, at work or school, in church, or with trusted friend), although his personality doesn't change. So the way a person adapts to 5 different types of situations distinguish layers of personality.Sexual situations involving reproduction & sexualityMaterial situations involving quest for material possessions & power Emotional situations involving emotions and social attachment Intellectual situations involving communication & cultureSpiritual situations involving quest for what is beyond individual human existenceTemperament and character together constitute personality. Temprearment is the innate predisposition to behave in a particular manner. Temperamental traits are biases in emotional response that are fully developed early in life and relatively stable there after whereas, character is a configuration of habbits, a disposition, consisting in the actualized aspects acquired through learning and shaped by experience. It involves higher cognitive processes that develop in a stepwise manner over the life time to enable a person to regulate his emotions, maintain particular values and virtues and achieve certain goalsBoth are moderately heritable but differ in pattern of learning & memory : i.e. the procedural learning of habits and skills influences the conditioning of temperament, whereas propositional learning of goals and values influences the development of character.